Pirenzepine acts on which receptor?
1. Muscarinic
2. Nicotinic
3. Alfa
4. Beta

Correct answer: 1. Muscarinic

Explanation: ref; KD Tripathi pharmacology (page no;117) Pirenzepine act through muscarinic receptor it selectively blocks M1 receptor and inhibits gastric secretion without producing other atropinic side effects due to M2& M3 blockade.